After extraction of 3rd molar, paraesthesia occurs over chin, this is due to involvement of:
1. Inferior alveolar nerve.
2. Lingual nerve.
3. Buccal nerve.
4. All of the above.

Correct answer: 1. Inferior alveolar nerve.